A 7-year-old boy presented with fracture of left
sub condylar region with occlusion undisturbed, the treatment would be
1. Immobilization for 7 days
2. Immobilization for 14 days with intermittent active opening
3. No immobilization with restricted mouth opening for 10 days
4. No immobilization and active treatment

Correct answer: 4. No immobilization and active treatment